In a patient with a type of familial dyslipidemias he presented with palmar Xanthomas and he ias at increased risk of atherosclerosis and CAD.In Lipid profile there was elevation of triacylglycerols and cholesterol.And the IDL and chylomicrons were elevated.What is the pathophysiology of the condition?
1. LDL deficiency
2. VLDL overproduction
3. Apo C-2 deficiency
4. Apo E deficiency

Correct answer: 4. Apo E deficiency

Explanation: Reference: Harpers illustrated biochemistry 30th edition page 275